In pelvis fracture, the amount of blood loss is around?
1. 1-4 units
2. 2-4 units
3. 2-6 units
4. 4-8 units

Correct answer: 4. 4-8 units

Explanation: In pelvic fracture intrapelvic haemorrhage is by far, the most serious complication. Haemorrhage frequently results from fracture surfaces and small vessels in the retroperitoneum. Amount of blood loss is around 4-8 units. It must be emphasised, however, that these cases may need transfusion of very large quantities of blood. It is not uncommon for the amount of blood transfused to be in excess of the patient's total blood volume. In case of hemodynamic instability, an external fixator should be applied immediately to decrease motion at fracture sites as well as to decrease pelvic volume and generate tamponade of the pelvic venous plexus. Ref: Rockwood & Green's fracture in Adults 6/e, Page 1600-04; Watson Jones: Fracture & Joint Injuries 6/e, Page 866; Campbell's Operative Orthopedics 10/e, Page 2962-63.